Most common mental disorder as a cause of suicide -
1. Mania
2. Depression
3. Alcohol dependence
4. Schizophrenia

Correct answer: 2. Depression

Explanation: Psychiatric disorders are the most common cause of suicide. Depression is the most common cause followed by alcoholism.